Most common type of germinal cell tumor in testis is?
1. Teratoma
2. Embryonal carcinoma
3. Seminoma
4. Endodermal sinus tumor

Correct answer: 3. Seminoma

Explanation: Ans. is 'c' i.e., Seminoma * Testicular tumors are divided into two major categories : (i) Germ cell tumors, and (ii) Sex cord tumors.A) Germ cell tumors# More than 95% of testicular tumors are germ cell tumors. They are further divided into -i) Seminoma* It is the most common germ cell tumor of testis. Female counterpart of seminoma is dysgerminoma of ovary.ii) Non-seminoma germ cell tumors (NSGCT)* These are spermatocytic seminomay embryonal carcinoma, Yolk sac tumor (also called endodermal sinus tumor or infantile embryonal carcinoma), teratoma, and choriocarcinoma.# Risk factors for germ cell tumors of testis are -i) Cryptorchidism (abdominal > inguinal, i.e. higher the undescended testis more the chances of malignancy).ii) Testicular feminization syndrome and Klinefelter syndrome.iii) Excess 12P copy number either in the term of i(12P) or increased 12P an aberranthy banded marker chromosome.B) Non-germ cell tumors (sex cord tumors)# These are ley dig cell tumor and sertoli cell tumor.# Leydig (interstitial) cell tumors are positive for Reinke crystalloids.